What is the strength of shock given to below victim of cardiac arrest with shockable rhythm:
1. 200 J asynchronous Shock
2. 300 AC shock
3. 200 Syn. Shock
4. 300 J Syn. Shock

Correct answer: 1. 200 J asynchronous Shock

Explanation: It should be between 120-200 J asynchronized shock.